Germ cells appear in yolk sac at
1. 9 weeks
2. 6 weeks
3. 3 weeks
4. 5 weeks

Correct answer: 3. 3 weeks

Explanation: By 11th to 12th-day cells appear between the inner surface of the cytotrophoblast and the outer surface of the yolk sac. 
These cells lie loosely and are called extraembryonic mesoderm. A cavity formed within it called the extraembryonic coelom or chorionic cavity. 
This covers both the yolk sac and amniotic cavity except where the embryoblast is connected to trophoblast through the connecting stalk